MC site of primary carcinoma in a case of Krukenberg tumour is:
1. Gall bladder
2. Stomach
3. Breast
4. Lung

Correct answer: 2. Stomach

Explanation: Ans. B i.e. Stomach